The leather term is used for
1. Anthrax
2. Proteus
3. Diphtheria
4. Neisseria

Correct answer: 3. Diphtheria

Explanation: Diphtheria was first recognized as a clinical entity by Bretonneau who called it "diphtheria" (from diph-theros, meaning leather). The name is derived from the tough, leathery pseudomembrane formed in the disease. Reference: Textbook of Microbiology; Anathanarayan and panicker's; 10th edition; Page no: 239